Hedstroem file is an instrument used for
1. Canal enlargement
2. Length determination
3. Obturating with gutta percha in McSpadden technique
4. Endodontic implants

Correct answer: 1. Canal enlargement